21 Year old female presented with aortic arch aneurysm she underwent resection and the specimen was sent to histopathological examination. It showed all three layers were involved and giant cells were present. What is the probable diagnosis -
1. Tubercular aortitis
2. Wegeners granulomatosis
3. Giant cell arteritis
4. Nonspecific aortoarteritis

Correct answer: 4. Nonspecific aortoarteritis

Explanation: Nonspecific aortoarteritis Takayasu arteritis It is granulomatous vasculitis affecting medium and larger arteries. The disease has a strong predeliction for the aortic arch and its branches. Takayasus arteritis classically involves the "aortic arch". Histological changes Transmural involvement (all three layers are involved). - Media * Mononuclear infiltrates to granulomatous inflammation with giant cells - Adventitia --> Mononuclear infiltrates - Vasa vasorum --> Perivascular cuffing As the disease progresses collagenous scarring with admixed chronic infiltrates occur in all three layers of the vessel wall. Narrowing of the lumen occurs with or without thrombosis pathological changes in various organs reflect the compromise of blood. flow through the involved vessels. Aortic lesions of Takayasu arteritis share many attributes with Giant cell arteritis including clinical features and histology, The distinction is typically made on the basis of the age of the patient. > 50 years Giant cell Arteritis < 50 yrs Takayasu disease Clinical features of Takayasu's Arteritis :? Nonspecific features of Vasculitis - Fatigue. weight loss and fever Vascular symptoms (Due to luminal narrowing of the aortic arch). - Marked weakening of pulses in upper extremities It is also knowns as "pulseless disease" Q. - Reduced blood pressure in upper extremitiese Ocular disturbances - Visual defects - Retinal hemorrhages - Total blindness Takayasu disease can also cause Myocardial infarction. - Due to narrowing of the coronary arteries. Hypertension in 50% cases - Narrowing of renal arteries lead to hypertension in half the cases. Takayasu' Frequency of Arteriographic abnormalities and potential clinical manifestations of arterial involvement in Artery Potential clinical manifestation Subclavian * Arm claudication, Raynaud's phenomenon Common carotid * Visual changes, syncope transient, ischaemic attacks stroke Abdominal Aorta * Abdominal pain, nausea vomiting Renal * Hypertension, renal failure, aortic insufficiency, congestive heart failure Vertebral * Visual changes, dizziness Coeliac axis * Abdominal pain, nausea vomiting Iliac * Leg claudication Pulmonary * Atypical chest pain dyspnea Coronary * Chest pain myocardial infarction